Which energy molecule gives 10.5kcal/molecule?
1. ATP
2. GTP
3. Creatine phosphate
4. Glucose-6-phosphate

Correct answer: 3. Creatine phosphate

Explanation: Creatine Phosphate Phosphocreatine (Creatine phosphate or CP) provides a high energy reservoir of ATP to regenerate ATP rapidly by the Lohmann's reaction, catalyzed by creatine kinase. ATP + Creatine Phosphocreatine + ADP + DG0' 43.1 kJ/mol (-10.5 kcal/mol). The reaction is mitochondrial and of special significance in the myocardium which has a high energy requirement, about 6 kg of ATP per day. Energy transfer to the heart's myofibrils is by creatine kinase energy shuttle, since being a smaller molecule than ATP, CP can rapidly diffuse from the myocardium to the myofibrils. Storage forms of high energy phosphates, such as creatine phosphate and arginine phosphate are called Phosphagens. Creatine phosphate is mainly seen in skeletal muscle, heart, and brain.Ref: DM Vasudevan Textbook of Medical Biochemistry, 6th edition, page no: 227